GIIb/IIIa antagonist are all except -
1. Abciximab
2. Clopidogrel
3. Tirofiban
4. Eptifibatide

Correct answer: 2. Clopidogrel

Explanation: Ans. is 'b' i.e., Clopidogrel Glycoproteins Ilb /111a inhibitors o The platelet glycoprotein mediates platelet aggregation binding of adhesive proteins such as fibrinogen and Von Willebrand factor. o GP IIb / Illa inhibitors, inhibit platelet aggregation by blocking GPI lb / Ella. o They are more complete inhibitors than either aspirin or clopidogrel / ticlopidinejj because they inhibit final pathway in platelet aggregation (whether it is mediated by ADP or TXA2), while aspirin blocks only TXA2 pathway and clopidogrel blocks only ADP pathway. o Drugs are ? 1. Abciximab --> A humanized monoclonal antibody against GP IIb / Ma. 2. Eptifibatide 3. Tirofiban --> Competitive inhibitors of GP Ilb/IIIa 4. Lamifiban o In addition to inhibiting Gp IIb / Ma receptor, abciximab also inhibits a13, receptor (which binds vitronectin) and ocm[32 (a leukocyte integerin). This action is responsible for anti-inflammatory and antiproliferative properties of abciximab.